A 24 year old male presents with abdominal pain, rashes, palpable purpura and, arthritis. The most probable diagnosis is.
1. Henoch Schonlein Purpura (HSP)
2. Sweet syndrome
3. Meningococcemia
4. HemochromatosisKawasaki Disease

Correct answer: 1. Henoch Schonlein Purpura (HSP)

Explanation: Answer is A (Henoch Schonlein Purpura) Palpable Purpura (most commonly distributed over the buttocks and lower extremities), arthralgias, and abdominal pain are all charachteristic features of Henoch-Schonlein purpura. Although H.S purpura is usually seen in a children and most patients range in age from 4-7 years, Harrisons text clearly mentions that this condition may also be seen in infants and adults. The charachteristic clinical manifestation of palpable purpura, arthralgia and abdominal pain in this young adult suggest the diagnosis of H-S purpura. Henoch Schonlein Purpura : Anaphylactoid Purpura : Review What is H. S. Purpura? H. S. Purpura is a vasculitis of small vesselsdeg The pathogenic mechanism for this vasculitis is iminune complex depositiondeg The most common class of antibodies seen in immune complexes of H.S purpura is IgAQ How does H. S. Purpura Present? Vasculitis Vasculitis of Skin Vasculitis of Toints Vasculitis of Gastrointesinal Vasculitis of (cutaneous) (Arthralgias) tract kidney Palpable purpura * Polyahralgiase in absence Colicky Abdominal paine is Mild glomerulonephritis2 Most commonly distributed over the of frank arthritis (Non deforming in nature) the most charachteristic manifestation . leading to proteinuria, microscopic haematuriaQ and buttocks and lower * Mainly involves large joints Other manifestations.. RBC cast in urine are the extremity of the lower extremity * Passage of blood & mucus charachteristic renal * Joint involvement is often migratory per rectum * Nausea/vomiting manifestation * Diarrhea / constipation